Uniocular polyopia is seen in which stage of cataract –
1. Incipient
2. Itumescent
3. Mature
4. Hypermature

Correct answer: 1. Incipient

Explanation: Monocular diplopia means the perception of two images of one object by one eye and monocular polyopia means refers to the perception of multiple images of one object by one eye.
It is particularly seen in incipient cataract.